Ramesh singh, a 40 yrs old man, was admitted with fracture shaft femur following a road traffic accident. Three days after tauma he was tachypnoeic, and had conjunctival petechiae. Most likely diagnosis is ?
1. Pulomary embolism
2. Sepsis syndrome
3. Fat embolism
4. Hemothorax

Correct answer: 3. Fat embolism

Explanation: Ans. is 'c' i.e., Fat embolism This patient in question has femur fracture has developed classical triad of fat embolism :- Respiratory symptom :- Tachypnea Neurological symptom :- Disorientation Petechial rash :- Conjunctivalpetechiae So, the most probable diagnosis is fat embolism syndrome.